Eleven month old child presents with erythematous lesion with central clearing which has been decreasing in size -
1. Strawberry angioma
2. Nevus
3. Portwine stain
4. Cavernous haemangioma

Correct answer: 1. Strawberry angioma